Which one of the following feature is NOT associated with primary hyperparathyroidism
1. Giant cell tumour
2. Sharply defined radiolucencies of maxilla and mandible
3. Partial loss of lamina dura
4. Hypercementosis

Correct answer: 4. Hypercementosis